Organisms that has not been cultured successfully so far is -
1. Leptospira
2. Treponema pallidum
3. Bordetella
4. Staphylococcus

Correct answer: 2. Treponema pallidum

Explanation: Ans. is 'b' i.e., Treponema pallidum